All of the following are natural estrogens EXCEPT:
1. Estradiol
2. Ethinylestradiol
3. Estriol
4. Estrone

Correct answer: 2. Ethinylestradiol

Explanation: Ethinylestradiol is a synthetic steroidal estrogen. All others are natural estrogens. (Ref.Essentials of medical pharmacology 7th edition page no.306)